The energy for glycogenesis is provided by -
1. GTP
2. GDP
3. UTP
4. AMP

Correct answer: 3. UTP

Explanation: Ans. is 'c' i.e., UTP